A 52 year old alcoholic male develops chronic severe upper abdominal pain and maldigestion. Ultrasound studies demonstrate pancreatic calcifications. Which of the following disorders will this patient most likely develop?
1. Diabetes mellitus
2. Hyperthyroidism
3. Hypothyroidism
4. Pheochromocytoma

Correct answer: 1. Diabetes mellitus

Explanation: Pancreatic calcifications constitute strong radiologic evidence of chronic pancreatitis. Up to 30% of patients with chronic pancreatitis eventually develop secondary diabetes mellitus as a consequence of destruction of islets in addition to pancreatic ducts. This form of diabetes mellitus may also eventually cause small vessel damage and blindness. Neither hyperthyroidism nor hypothyroidism are related to chronic pancreatitis. Pheochromocytoma is unrelated to chronic pancreatitis. Ref: Fisher W.E., Anderson D.K., Bell R.H., Saluja A.K., Brunicardi F.C. (2010). Chapter 33. Pancreas. In F.C. Brunicardi, D.K. Andersen, T.R. Billiar, D.L. Dunn, J.G. Hunter, J.B. Matthews, R.E. Pollock (Eds), Schwartz's Principles of Surgery, 9e.